A Young women with secondary amenorrhoea and galactorrhoea. MRI shows a tumous of < 10 mm diameter in the pituitary fossa. Treatment is -
1. Hormonal therapy for withdrawal bleeding
2. Radiotherapy
3. Chemotherapy
4. Bromocriptine

Correct answer: 4. Bromocriptine

Explanation: bromocriptine is a dopamine receptor agonist that suppress prolactin secretion .It rapidly lowers serum prolactin levels to normal in upto 70% of patients and tumor shrinks ( Harrison 17 pg 2206)